Proliferation independent agents include all the following except :
1. Vincristine
2. Carmustine
3. Melphalan
4. Cyclophosphamide

Correct answer: 1. Vincristine